Not a sexually transmitted agent
1. Streptococcus group B
2. Ebola
3. Candida Albicans
4. Corona Virus

Correct answer: 4. Corona Virus